Ligamentum Teres develops from-
1. Ductus Venisus
2. Umbilical artery
3. Umbilical Vein
4. Septim Primum

Correct answer: 3. Umbilical Vein

Explanation: Ans. is 'c' i.e., Umbilical Vein Embryonic partRemnantsDuctus arteriosusLigamentum arteriosumUmbilical arteryProximal part: - Superior vesical artery.Distal part: - Medial umbilical ligamentUmbilical vein (left)Ligamentum teresDuctus venosusLigamentum venosusSeptum primumFloor of fossa ovalisSeptum secondumAnnulus ovalis / Limbus fossa ovalis